Lateral cutaneous nerve of forearm is continuation of
1. Musculocutaneous nerve
2. Ulnar nerve
3. Radial nerve
4. Median nerve

Correct answer: 1. Musculocutaneous nerve

Explanation: Lateral cutaneous nerve of forearm ( C5, C6 ) is the continuation of musculocutaneous nerve. It pierces deep fascia just lateral to the tendon of biceps 2-3 cm above the bend of the elbow, and supplies the skin of the lateral side of forearm, extending anteriorly to a small part of the ball of the thumbs. B D Chaurasia 7th edition Page no: 79